Which one of the following ricketsial diseases is transmitted by louse -
1. Epidemic typhus
2. Rockery mountain spotted fever
3. Q-fever
4. Endemic typhus

Correct answer: 1. Epidemic typhus

Explanation: Epidemic typhus has louse as vector. REF. PARK'S TEXTBOOK OF PREVENTIVE AND SOCIAL MEDICAL 21ST EDITION. PAGE NO - 274